Drug used in the prophylaxis of nicotine addiction:
1. Diazepam
2. Naloxone
3. Bupropion
4. Acamprosate

Correct answer: 3. Bupropion

Explanation: Ans. Bupropion